Which of the following antibiotic acts by inhibiting cell wall synthesis
1. Cefepime
2. Aminoglycoside
3. Erythromycin
4. Doxycycline

Correct answer: 1. Cefepime

Explanation: Ref KDT 6/e p669 Cefepime is a beta lactam antibiotic. It acts by inhibiting cell wall synthesis